All of the following are true regarding adverse effects of chlorpropamide except:-
1. Releases ADH
2. Less incidence of hypoglycemia
3. More incidence of weight gain
4. Disulfiram like reaction may occur

Correct answer: 2. Less incidence of hypoglycemia

Explanation: CHLORPROPAMIDE 1st generation sulfonylurea. Like all sulfonylureas, it can cause weight gain and hypoglycemia (maximum with chlorpropamide) It can cause dilutional hyponatremia (ADH like action), cholestatic jaundice and disulfiram like reaction (intolerance to alcohol). A: ADH release B: Blood sugar decreases C: Cholestatic jaundice D: Disulfiram like reaction E: Excessive weight gain